In which of the following are linear IgA deposits in mesangium noted -
1. Henoch Schonlein purpura
2. Malaria
3. Good Pasture's syndrome
4. Wegener's granulomatosis

Correct answer: 1. Henoch Schonlein purpura

Explanation: Ans. is 'a' i.e., Henoch Schonlein Purpura